The first step in the management of hirsutism due to Stein-Leventhal syndrome is:
1. OCP
2. HMG
3. Spironolactone
4. Bromocriptine

Correct answer: 1. OCP